Normal child has dysfluency of speech between
1. 2 and 4 years
2. 4 and 6 years
3. 6 and 8 years
4. 8 and 10 years

Correct answer: 1. 2 and 4 years

Explanation: Stuttering is a defect in speech characterized by hesitation or spasmodic repetition of some syllables with pauses. There is difficulty in pronouncing the initial consonants caused by spasm of lingual and palatal muscles. It can affect up to 5% of children between 2 and 5 years of age. In this age group, parents should be reassured as most of them show resolution. If it persists beyond or appears after 5 years of age, opinion of psychologist and speech therapist should be sought